Psychrometer is used to measure -
1. Humidity
2. Air velocity
3. Room temperature
4. Radiant temperature

Correct answer: 1. Humidity

Explanation: Psychrometer is a device to measure humidity of air. Sling psychrometer consist of 2 mercury tgermometer mounted side by side on.suitable wooden frame with handle for rotating the instrument.Underlying principle is that by roatating the bulbs are exposed to air at a definite velocity. By using suitable tables the relative humidity of air can be obtained from readings of psychrometer. Assman psychrometer is apoable instrument to measure humidity. Parks textbook of preventive and social medicine.K Park. Edition 23.page no:749.